A premature infant is born with a patent ductus arteriosus. In closure can be stimulated by administration of:
1. Prostaglandin analogue
2. Estrogen
3. Anti-estrogen compounds
4. Prostaglandin inhibitors

Correct answer: 4. Prostaglandin inhibitors

Explanation: Patent ductus arteriosus represents persistent patency of the vessel. The ductus arteriosus usually closes within 2 or 3 days after birth and becomes the ligamentum arteriosum. Constriction of the ductus postnatally involves a complex interaction of increased partial pressure of oxygen, decreased circulating prostaglandin E2 (PGE2), decreased PGE2 ductal receptors, and decreased pressure within the ductus. Subsequent vessel-wall hypoxia of the ductus promotes further closure through inhibition of prostaglandin and nitric oxide within the ductal wall. For premature infants, treatment with indomethacin, a prostaglandin inhibitor, is usually the first-line therapy. Ibuprofen has achieved closure rates equivalent to those of indomethacin with less renal toxicity. When PDA fails to close with indomethacin or for term infants with a persistent PDA, surgical or interventional closure is recommended. Ref: Brown D.W., Fulton D.R. (2011). Chapter 83. Congenital Heart Disease in Children and Adolescents. In V. Fuster, R.A. Walsh, R.A. Harrington (Eds), Hurst's The Heart, 13e.